After applying a statistical test, an investigator gets the 'p value' as 0.01. It means that-
1. The probability of finding a significant difference is 1%
2. The probability of declaring a significant difference, when there is truly no difference, is 1%
3. The difference is not significant 1% times and significant 99% times
4. The power of the test used is 99%

Correct answer: 2. The probability of declaring a significant difference, when there is truly no difference, is 1%

Explanation: The probability of declaring a significant difference is 1%. Reference:Simple Biostatistics by Indrayan & Indrayan,1st edition,pg no:155-56..